Sinus bradycardia with MI T/T-
1. Atropine
2. Digoxin
3. Calcium channel blocker
4. Propranolol

Correct answer: 1. Atropine

Explanation: Sinus bradycardia is a common arrhythmia in patients with inferior or posterior acute myocardial infarctions (AMIs). The highest incidence, 40%, is observed in the first 1-2 hours after AMI. Use of atropine in patients with acute myocardial infarction and sinus bradycardia. Atropine is the drug of choice for management of patients with SB and hypotension and is effective in the treatment of ventricular arrhythmias as well as conduction disturbances in patients with inferior myocardial infarction Ref Davidson 23rd edition pg 455